Endogenous chemoattractants are all except ?
1. C5a
2. Integrins
3. LTB4
4. 11, 8

Correct answer: 2. Integrins

Explanation: Ans. is 'b' i.e., Integrins